DNA replication occurs in which phase of cell cycle?
1. G1 phase
2. S phase
3. G2 phase
4. M phase

Correct answer: 2. S phase

Explanation: ANSWER: (B) S phaseREF: Ganong's physiology 22nd ed chapter 1"S or synthetic phase of cell cycle is the one in which replication of DNA OCCURS.